Bulla ethmoidalis is seen in:
1. superior meatus
2. Inferior meatus
3. Middle meatus
4. Sphenoethmoidal reces

Correct answer: 3. Middle meatus

Explanation: Middle meatus: It lies between the middle and inferior turbinates and is important because of the presence of osteomeatal complex in this area. Ref:Dhingra 5/e,p 152,153.